Child presents with recurrent abdominal pain and bilious vomiting. Condition was diagnosed by barium follow through. Surgery was done, mesenteric widening, appendectomy, cutting the Ladd's band. What is the diagnosis?
1. Recurrent cecal volvulus
2. Malrotation
3. Recurrent appendicitis
4. Stricture TB

Correct answer: 2. Malrotation

Explanation: - Malrotation can be totally asymptomatic ormay be manifested as chronic, vague abdominal pain, with or without intermittent bilious emesis, and failure to thrive. - The acute onset of bilious vomiting in a neonate is a sign of malrotation until proved otherwise. It demands immediate radiologic evaluation. Upper Gastrointestinal Contrast Study Malrotation is diagnosed by an abnormal position of the ligament of Treitz. The normal location is typically to the left of the vertebral column and posterior to the stomach .